Drug of choice for post menopausal osteoporosis is
1. Estrogen
2. Bisphosphonates
3. Teriparatide
4. Thyroxine

Correct answer: 2. Bisphosphonates

Explanation: Drug used in osteoporosis Inhibit resorption:Bisphosphonates (drug of choice), Denosumab, calcitonin, estrogen, SERMS, gallium nitrate. Stimulate formation: Teriparatide (PTH analogue), calcium, calcitriol, fluorides. Both actions: Strontium ranelate.